In synthesis of fatty acids, energy is supplied by:
1. NAD
2. NADPH
3. FAD
4. GTP

Correct answer: 2. NADPH

Explanation: NADPH is involved in various reductive biosynthesis. NADPH is generated in HMP shunt pathway. In fattyacid synthesis each cycle of fattyacid synthesis requires 2 molecules of NADPH.